True about polio vaccination is all EXCEPT:
1. Follow up of AFP every 30 days
2. Salk contains three types of polio virus
3. Pulse polio doses are extra and supplemental
4. Oral polio vaccine provides intestinal immunity also

Correct answer: 1. Follow up of AFP every 30 days

Explanation: Follow up of AFP every 30 days REF: Park 20thedition page 180-184 AFP surveillance is done every 60 days to check for residual paralysis Salk contains all three types of polio virus inactivated by formalin, contains 20,2 & 4D antigen of types 1,2 and 3 The doses of OPV given during pulse polio immunization are extra and supplemental, and do not replace the doses given during routine immunization. OPV induces both humoral and cell mediated immunity